The advantages of overdenture are all of the following, except
1. Preservation of alveolar bone
2. Aesthetics
3. Retention
4. Support

Correct answer: 2. Aesthetics